All of the following are causes of fragmented RBC in peripheral blood Except:
1. Microangiopathic hemolytic anemia
2. D.I.O.
3. Hemophilia-A
4. Malignant hypertension

Correct answer: 3. Hemophilia-A

Explanation: Answer is C (Hemophilia - A): Hemophilia A is not a cause for microangiopathic hemolytic anemia or fragmented RBC's in peripheral blood. Classification of Microangiopathic Hemolytic Anemia Primary Thrombotic thrombocytopenic purpura Hemolytic uremic syndrome Secondary Associated with disseminated intravascular coagulation Infections (sepsis) - Shiga-type toxins - HIV - Snake venoms - Abruptio placentae